Most superior sinus in the face is?
1. Frontal sinus
2. Ethmoid sinus
3. Maxillary sinus
4. Sphenoid sinus

Correct answer: 1. Frontal sinus

Explanation: Ans. (a) Frontal sinusRef: Gray's Basic Anatomy 40th ed p 562